In cholesterol synthesis, which is rate limiting amino acid:
1. HMG CoA reductase
2. HMG CoA synthetase
3. 7 alpha hydroxylase
4. Phosphofructokinase

Correct answer: 1. HMG CoA reductase

Explanation: A i.e. HMG COA reductase